Features of cleidocranial dysplasia:
1. Clavicle is small or absent.
2. Wormian bones are present.
3. Air sinuses are absent.
4. All of the above.

Correct answer: 4. All of the above.